A boy presents with diplopia and restriction of eye movements following blunt trauma to his eye. X-ray reveals blow out fracture of orbit. Which part of orbit is most likely damaged:
1. Superior wall
2. Inferior wall
3. Lateral wall
4. Medial wall

Correct answer: 2. Inferior wall

Explanation: B i.e. Inferior wall Blow out fracture mainly involve orbital floor (inferior wall) & medial wall Q. It presents with hanging drop or tear drop sign Q.